Most common type of schizophrenia is
1. Paranoid
2. Catatonic
3. Hebephrenic
4. Simple

Correct answer: 1. Paranoid

Explanation: Most common-paranoid Best prognosis-catatonic Worst prognosis-simple Personality deterioration-hebephrenic Ref: Essentials of postgraduate psychiatry By JN Vyas 1st ed Pg 365-370